Alpha 1 blocker used for BHP without any effect on blood pressure is:
1. Tamsolusin
2. Terazosin
3. Oxazosin
4. Dolazoline

Correct answer: 1. Tamsolusin

Explanation: Tamsolusin